Simian crease is not seen in -
1. Down
2. Trisomy 13
3. Atopic dermatitis
4. Noonan syndrome

Correct answer: 3. Atopic dermatitis

Explanation: Ans. is 'c' i.e., Atopic dermatitisSimian creaseo Single transverse palmer creaseo Resembles non-human-simian so K/a simian crease,o It is seen inDown syndromeFetal alcohol syndromeCri-du chat syndrome (Chr. 5)Klinefelter (XXY)Noonan (Chr. 12)Patau (Chr. 13)Edward (Chr. 18)